Thickest wall of the orbit is:
1. Medial wall
2. Lateral wall
3. Roof
4. Floor

Correct answer: 2. Lateral wall

Explanation: Ans. Lateral wall